A child presents with obesity, short stature hyper tension, hyperglycemia, what is the most probable diagnosis?
1. Addison's disease
2. Congenital disease
3. Cushing's syndrome
4. Congenital adrenal hyperplasia

Correct answer: 3. Cushing's syndrome

Explanation: Above clinical feature seen in cushing's syndrome.